Bladder outlet obstruction (BOO) is defined by:
1. PSA-10 m mol
2. Urine flow rate <10 mL/second
3. Urine voiding pressure decreased
4. Retained urine

Correct answer: 2. Urine flow rate <10 mL/second

Explanation: Ans. (b) urine flow rate <10mL/secondRef Bailey and Love 27th Edition, Page 1459Bladder outlet obstruction (BOO):* It's a Urodynamic study based diagnosis.* Urine flow rate calculated along with voiding pressures.* Urodynamically proven BOO is seen in:# BPH# Bladder neck stenosis# Bladder neck hypertrophy# Prostate cancer# Urethral strictures# Neuropathic conditions* Urodynamic study findings:# For voided volume >200mL, a peak flow rate of >15mL/second is normal# Voiding pressures <60cmH2 O is normal# So, Flow rate <10mL/s or Pressure more than 80cmH2 O is definition of BOO* Complications of BOO: Acute and chronic retention of urine